Biological indicator for Autoclave is
1. CL tetani
2. Bacillus subtilis
3. Bacillus pumilis
4. Geo bacillus stearothermophilus

Correct answer: 4. Geo bacillus stearothermophilus

Explanation: Autoclave  - Geobacillus stearothermophilus
Hot air oven - CL tetani or bacillus subtilis
Ionizing radiation - Bacillus pumilus.